macrophage in the brain is
1. Schwann cells
2. Oligodendrocytes
3. Astrocytes
4. Microglia

Correct answer: 4. Microglia

Explanation: Answer is option 4 Microglia are considered the resident macrophages of the brain given that they are the only myeloid cells present in the CNS parenchyma. Microglia perform both homeostatic and immune-related functions and constitute about 5-20% of all cells in the CNS. Ref of img :